Investigation of choice for small intestine tumor:
1. Ba meal follow through
2. Echo
3. X-ray abdomen
4. CT scan with contrast

Correct answer: 4. CT scan with contrast

Explanation: Ans. CT scan with contrast